All of the following are associated with better prognosis in schizophrenia except:
1. Late onset
2. Married
3. Negative symptoms
4. Acute onset

Correct answer: 3. Negative symptoms

Explanation: C i.e. Negative Symptoms